Coverings of spermatic cord are all except -
1. Internal spermatic fascia
2. Cremasteric fascia
3. External spermatic fascia
4. Dartos muscle

Correct answer: 4. Dartos muscle

Explanation: Ans. is 'd' i.e., Dartos muscleo The spermatic cord consists of a tubular sheath extending from the deep inguinal ring to the upper part of posterior border of testis. Constituents of spermatic cord are -i) Ductus deferens (Vas deferens)ii) Arteries:- Testicular artery, cremestric artery, artery to ductus deferens.iii) Veins:- Pampiniform plexus.iv) Nerves:- Genital branch of genitofemoral nerve and sympathetic plexus around arteries.v) Others :- Lymphatics, remains of the processus vaginalis.o Covering of spermatic cord, from within outwards, are :- (i) internal spermatic fascia, (ii) cremasteric fascia and (iii) external spermatic fascia.